Caranio facial angle is ?
1. 110deg
2. 120deg
3. 130deg
4. 140deg

Correct answer: 3. 130deg

Explanation: C i.e. 130deg